Korner's septum is seen in -
1. Petrosquamous suture
2. Temporosquamous suture
3. Petromastoid suture
4. Frontozygomatic suture

Correct answer: 1. Petrosquamous suture

Explanation: The petrosquamous suture may persist as a bony plate - the Korners septum.